Carotid sheath encloses all except
1. CCA and ICA.
2. ECA and  ICA.
3. Internal jugular vein
4. Vagus nerve.

Correct answer: 2. ECA and  ICA.